The burrows in scabies are present in
1. Stratum basale
2. Stratum granulosum
3. Stratum corneum
4. Dermis

Correct answer: 3. Stratum corneum

Explanation: a. The female mite excavates a small burrow in which copulation takes place.b. After copulation, the fertilized female enlarges the burrow and begins laying eggs. The burrow is mainly confined to stratum corneum, but it is also inclined downwards into the epidermis.c. About 4050 eggs are laid by each female during a life span of 46 weeks, during which she does not leave the burrow.